Route of administration of amyl nitrite in cyanide poisoning is
1. Sublingual
2. Inhalational
3. Intravenous
4. Intramuscular

Correct answer: 2. Inhalational

Explanation: Amyl nitrite is usually given in cyanide poisoning by inhalational route.